Drug which may lead to hemolysis in a child with G6PD deficiency is -
1. Penicillin
2. Primaquine
3. Ceftriaxone
4. Erythromycin

Correct answer: 2. Primaquine

Explanation: Ans. is 'b' i.e., Primaquine